ASD with murmur similar to MR and left axis deviation ?
1. ASD secondum
2. ASD primum
3. Floppy mitral valve
4. ASD secondum with rheumatic MR

Correct answer: 2. ASD primum

Explanation: ASD primum lead to left axis deviation. Ghai essential of pediatrics, eighth edition, p.no:413